Cell wall of gram positive bacteria contains?
1. Lipids
2. Aromatic amino acids
3. Teichoic acid
4. All of the above

Correct answer: 3. Teichoic acid

Explanation: Ans. is 'c' i.e., Teichoic acid